Shortest acting mydriatic is?
1. Tropicamide
2. Atropine
3. Phenylephrine
4. Hyoscine

Correct answer: 1. Tropicamide

Explanation: ANSWER: (A) TropicamideREF: khurana 4th ed p. 68shortest acting mydriatic - TropicamideOnly mydriatic and not cycloplegic - phenylephrineUsed in children - Atropine